Which of the following is true about Wernicke's encephalopathy
1. Extrapyramidal symptoms
2. Auditory hallucinations
3. Vagus nerve palsy
4. Presence of horizontal nystagmus

Correct answer: 4. Presence of horizontal nystagmus

Explanation: Answer- D. Presence of horizontal nystagmusWernicke's disease is a common and preventable disorder due to deficiency of thiamine.It is commonly seen in alcoholic patients with chronic thiamine deficiency.Wernicke's encephalopathy is characterized by clinical triad ofGlobal confusionOphthalmoplegraAtariaIt includes horizontal nystatmus on lateral gaze lateral rectus palsy.Gait AtaxiaIt results from combination of polyneuropathy, cerebellar involvement and vestibular paresis.